Most common mode of transmission of polio virus -
1. Droplet infection
2. Fecal-oral route
3. Blood transfusion
4. Vertical transmission

Correct answer: 2. Fecal-oral route

Explanation: Virus is transmitted by the fecal oral route through ingestion REF:
ANATHANARAYANAN MICROBIOLOGY NINTH EDITION PAGE.486